NOT true about ASO titre:
1. May be positive in normal people
2. Major jones criteria
3. May be negative in post strptococcal glomerulonephritis
4. May not be elevated even in presence of carditis

Correct answer: 2. Major jones criteria

Explanation: ASO titre may be positive due to streptococcal infection even in normal people.in some individuals with rheutamatic carditis ASO titre may not be elevated. In PSGN the titre of anti DNA se B antibody is elevated more commonly than ASLO. (ref Robbins 9/e559,8th/566)